A person with neck node and B type tympanogram -
1. Acoustic neuroma
2. Nasopharyngeal CA
3. Angiofibroma
4. None

Correct answer: 2. Nasopharyngeal CA

Explanation: Information in this question :

Cervical adenopathy (Neck node) :- Most common presentation of nasopharyngeal carcinoma.
Type B tympanogram :- Indicates serous otitis media, which may be a complication of nasopharyngeal carcinoma due to eustachian tube blockade.

Thus, among the given options, nasopharyngeal carcinoma is the answer of choice.